First internal organ to putrefy
1. Heart
2. Brain
3. Larynx
4. Kidney

Correct answer: 3. Larynx

Explanation: Larynx & trachea -Stomach, intestines & Spleen -Liver (foamy liver) lings-Brain -Heart - Kidneys, bladder -Prostate, uterus-Skin, muscle, tendon - Bones Larynx is the earliest organQto putrefy. Nulliparous uterusQis the last organQto putrefy, gravid uterus and uterus soon after delivery putrefies rapidly In males, ProstateQis the last organ to putrefy Optimum temperature for putrefaction Q